UGH syndrome is commonly due to
1. ACIOL
2. PCIOL
3. Several fixed IOL
4. Piggy back IOL

Correct answer: 1. ACIOL

Explanation: Ans. (a) ACIOLRef: Cornea by Mark J Mannis/p. 196UGH syndrome is caused by mechanical excoriation of the iris from an IOL haptic or optic that results in uveitis, glaucoma, and hyphema.It is most commonly due to use of ACIOL, though it can also be seen with use of PCIOL (if a malpositioned haptic is present).